In a case of acute exacerbation of asthma, salbutamol was given and no improvement noticed, intravenous corticosteroids and aminophylline was given and condition improved. What is the mechanism of corticosteroid in acute asthma?
1. Corticosteroid increase bronchial responsiveness to salbutamol
2. Corticosteroids cause direct bronchodilation when used with xanthines
3. Corticosteroids indirectly increase the effect of xanthines on adenosine receptor
4. Corticosteroids increase mucociliary clearance.

Correct answer: 1. Corticosteroid increase bronchial responsiveness to salbutamol

Explanation: ANS. ACorticosteroids has a dual effect in acute asthma with an early facilitatory effect on airway beta 2 adrenoreceptor sensitivity and a later effect on airway inflammation, which further emphasizes the need for corticosteroids to be administered as early as possible during an acute asthma attack.# Newer monoclonal antibodies in respiratory condition1. Pitakinra: IL-3 and 4 antagonist (used in bronchial asthma)2. Resilizumab: IL-5 antagonist (used in bronchial asthma)3. Mepolizumab: IL-5 blocker (useful in hypereisnophilic vasculitis)4. Omalizumab: Against IG E (in bronchial asthma)5. Pavilizumab: Used against respiratory syncitial virus (AIIMS November 2016).